Rose spots are seen in -
1. Malaria
2. Chikungunya fever
3. Typhoid
4. Tuberculosis

Correct answer: 3. Typhoid

Explanation: Ans. is 'c' i.e., Typhoido Rose spots are round maculopapular lesions seen on abdomen in patients with Enteric Fever (Typhoid), o Rose spots are rare finding :# They are present after the first week of symptoms in only 5-30% cases.# They typically last only 2-3 days.# Although the exact etiology is unclear the histopathological examination of these lesions has shown widely dilated capillaries.